Which of the following statements is wrong regarding adult polycystic kidney disease?
1. Kidneys are enlarged in size
2. The presentation is unilateral
3. Patients tend to have external congenital anomalies
4. Mitral valve prolapse may be there

Correct answer: 2. The presentation is unilateral

Explanation: Autosomal Dominant (Adult) Polycystic Kidney Disease Hereditary disorder Multiple expanding cysts of both kidneys that leads to destruction of renal parenchyma. Bilateral. Gross appearance : The kidneys are bilaterally enlarged and weighs as much as 4 kg each. Microscopic examination: Functioning nephrons dispersed between the cysts. Individuals with polycystic kidney disease also tend to have extra-renal congenital anomalies. Mitral valve prolapse